Eale's disease is best treated with
1. Steroids
2. ATT drugs
3. Streptomycin
4. Benvacizumab

Correct answer: 1. Steroids

Explanation: Best treatment is steroids.